\r\nAll of the following are true about Aedes mosquito, except:
1. It transmits dengue fever
2. It breed in stagnant water
3. They are recurrent day time biters
4. Its eggs cannot survive more than one week without water

Correct answer: 4. Its eggs cannot survive more than one week without water

Explanation: Aedes Aegypti are recurrent day time biters and breed in stagnant water. It transmits dengue fever. Aedes Aegypti eggs can remain viable for long periods under without water. Hence it is carried to many parts of the world as dry eggs in suitable containers. Ref: Physician's Guide to Arthropods of Medical Importance, 4th Edition, Pages 265-66; Park's Textbook of Preventive and Social Medicine By K. Park, 19th Edition, Pages 625-26